Sun burst appearance of skull not seen in
1. Paget's disease
2. Osteosarcoma
3. Metastasis due to neuroblastoma
4. Hemangioma

Correct answer: 1. Paget's disease

Explanation: Sun burst appearance: Osteosarcoma Ewing's sarcoma Metastasis of prostate, breast cancer Neuroblastoma Hemangioma Meningioma Paget's disease-cotton wool skull ,osteoporosis circumscripta